Liver synthesises all except
1. C3 complement component
2. Haptoglobin
3. Fibrinogen
4. Immunoglobulin

Correct answer: 4. Immunoglobulin

Explanation: Immunoglobulins are synthesized by the B-lymphocytes.